Which enzyme is a enzyme regulatory step in cholesterol synthesis?
1. HMG CoA synthase
2. HMG CoA reductase
3. Phosphomevalonate kinase
4. Diphosphomevalonokinase

Correct answer: 2. HMG CoA reductase

Explanation: Ref: Textbook of Medical Biochemistry, Eighth Edition, Dr (Brig) MN Chatterjea Rana Shinde: page no: 431